'Maculae cerulea' seen in:
1. Pediculosis humanis corporis
2. Pediculosis capitis
3. Pthisis pubis
4. Lupus erythematosus

Correct answer: 3. Pthisis pubis

Explanation: Pthisis pubis (pubic lice) - Seen on pubic hair Initial symptom - Itching Blue grey macules - the "maculae cerulae" Sexually transmitted infection. Diagnosis - Establishing the lice seen as yellow brown specks clinging closely to the base of hair. Rx-shaving of pubic hair Permethrin 2% application Treatment of contact